Which one of the following is NOT dimorphic fungi?
1. Cryptococcus
2. Histoplasma
3. Coccidioidomycosis
4. Blastomycosis

Correct answer: 1. Cryptococcus

Explanation: (A) Cryptococcus # Systemic Mycoses Caused by DIMORPHIC FUNGI: Four major systemic mycoses caused by dimorphic fungi -- 1 Blastomycosis, 2. Coccidioidomycosis, 3. Histoplasmosis and 4. Paracoccidioidomycosis